True about acanthosis Nigricans is all except
1. Cutaneous marker of insulin resistance.
2. More common in woman with PCOD and normal weight.
3. Affects flexure area like axillae, waist, groin.
4. Can be seen in gastrointestinal malignancy.

Correct answer: 2. More common in woman with PCOD and normal weight.

Explanation: Acanthosis develops more frequently in obese women with PCOD than in those with PCOD and Normal weight.